Intracytoplasmic Nissl granules are found in?
1. Perikaryon of neuron
2. Smooth muscle
3. Skeletal muscle
4. Cardiac muscle

Correct answer: 1. Perikaryon of neuron

Explanation: Nissl granules are rough endoplasmic reticulum found in dendrites, but absent in axon or axon hillock. They help in protein synthesis.